Bile acids are derived from :
1. Fatty acids
2. Cholesterol
3. Bilirubin
4. Proteins

Correct answer: 2. Cholesterol

Explanation: B i.e. Cholesterol